What is present in the retropharyngeal space -
1. Platysma
2. Loose areolar tissue & lymph nodes
3. Vertebrae
4. Hypoglossal nerve

Correct answer: 2. Loose areolar tissue & lymph nodes

Explanation: Ans. is 'b' i.e., Loose areolar tissue & lymph nodes o Retropharyngeal space lies behind the pharynx, i.e. between buccopharyngeal fascia covering pharyngeal constrictor muscles (anteriorly) and prevertebral fascia covering the prevertebral muscles (posteriorly),o So, retropharyngeal space lies behind the pharyngeal constrictor muscles and anterior to prevertebral fasciaQ covering the prevertebral muscles.o The space is divided in into two lateral compartments (Spaces of Gillette) by a median fibrous septa,o Retropharyngeal space consists of lymph nodes (including Rouvier's node, i.e., most superior of the lateral group) and loose areolar tissue.